Coxsackie virus is -
1. Hebrpes virus
2. Pox virus
3. Enterovirus
4. Myxovirus

Correct answer: 3. Enterovirus

Explanation: Enteroviruses include poliovirus type 1-3,coxsackie virus A types 1-24,coxsackie virus B types 1-6,echovirus tyoes 1-34 and enteroviruses types 68-78. REF:ANATHANARAYAN AND PANIKER'S TEXTBOOK OF MICROBIOLOGY 9TH EDITION PAGE NO:485